All cause Reticulocytosis EXCEPT:
1. Aplastic anemia
2. Thalassemia
3. Sickle cell anemia
4. Chronic blood loss

Correct answer: 1. Aplastic anemia

Explanation: Ans. (a) Aplastic anemiaRef: Robbiris pathology 9th ed. /631* Aplastic anemia is characterized by destruction of bone marrow and thereby reduction in pluri-potent stem cells and their progeny.Henceforth the production of reticulocytes is less.* Thalassemia and sickle cells are hemolytic anemias having extra-vascular hemolysis and thereby reticulocytosis.* In chronic blood loss the loss of RBC provoke the bone marrow to be more aggressive and release reticulocytes in circulation.* REMEMBER: Reticulocytopenia may be a result of viral Parvovirus B19 infection, which invades and destroys red blood cell precursors and halts the red cell production.